When the rectum is inflated with air through a rectal tube, pain and tenderness occur in the right iliac fossa in case of appenidicitis. This is known as-
1. Aaron's sign
2. Battle's sign
3. Bastedo's sign
4. Mc Burney's sign

Correct answer: 3. Bastedo's sign